Which of the following statements about the biodisposition of penicillins and cephalosporins is NOT accurate?
1. Oral bioavailability is affected by lability to gastric acid
2. Procaine penicillin G is used intramuscular injection
3. Renal tubular reabsorption of beta-lactams is inhibited by probenecid
4. Nafcillin and ceftriaxone are eliminated mainly biliary secretion

Correct answer: 3. Renal tubular reabsorption of beta-lactams is inhibited by probenecid

Explanation: * Probenecid inhibits renal tubular secretion of penicillins (not reabsorption) * Beta lactams eliminated by biliary route are: -- Ampicillin -- Nafcillin -- Ceftriaxone -- Cefoperazone * Penicillin G has to be given by i.m. route because it is broken down by gastric acid (decreases oral bioavailability).